An endogenous peptide that causes vasodilation and is inactivated by angiotensin converting enzyme is:
1. Angiotensinogen
2. Angiotensin–I
3. Angiotensin–II
4. Bradykinin

Correct answer: 4. Bradykinin